'Crippling Fluorosis' is characterized by:
1. Blockage of blood vessels
2. Chipping of teeth
3. Rigid spine
4. Calcification of blood vessels

Correct answer: 3. Rigid spine